Which enzyme protects the brain from free radical injury?
1. Myeloperoxidase
2. Superoxide dismutase
3. MAO
4. Hydroxylase

Correct answer: 2. Superoxide dismutase

Explanation: Ref: Robbin's Pathology, 9th ed. pg. 48, 80* Antioxidant enzymes include glutathione peroxidase, SOD and catalase.* Deficiency of SOF 1 gene may result in motor neuron disorder.